All are features seen in Chronic Pancreatitis except ?
1. Chronic persistent pain
2. Diarrhoea, Steatorrhoea
3. Calcification
4. Paralytic ileus

Correct answer: 4. Paralytic ileus

Explanation: Ans. is 'd' i.e., Paralytic ileus